Standard urea clearance in an normal adult is?
1. 20 ml
2. 50 ml
3. 100 ml
4. 200 ml

Correct answer: 2. 50 ml

Explanation: Ans. is'b'i.e., 50 mlStandard clearance of urea (Cs) and average normal value is 54